End plate potential follows which law
1. All or none law
2. Depolarisation
3. Hyperpolarisation
4. Propagation

Correct answer: 2. Depolarisation

Explanation: End plate potential is always depolarizing whereas post synaptic potential can be EPSP or IPSP. 
Also, remember that end plate potential is a local potential. 
So it does not follow ‘all or none’ law nor does it self-propagate. It is always decremental.